Bivalent meningococcal vaccine is ?
1. A Y
2. A C
3. C y
4. A W-I35

Correct answer: 2. A C

Explanation: Ans. is 'b' i.e., A C Two type of meningococcal vaccine develop Unconjugated polysaccharide vaccine. Conjugated group C vaccine. Polysaccharide vaccines Internationally marketed meningococcal polysaccharide vaccines are o Bivalent (A and C), Trivalent (A, C and W-135) Tetravalent (A, C, Y and W-135). The vaccines are purified, heat-stable, lyophilized capsular polysaccharides from meningococci of the respective serogroups. A protective antibody response occurs within 10 days of vaccination. In schoolchildren and adults, one dose of these polysaccharide vaccines appears to provide protection for at least 3 years, but in children under 4 years of age the levels of specific antibodies decline rapidly after 2-3 years.